Phenomenon called anticipation is seen in?
1. Mitochondrial inheritance
2. x - linked dominant disorders
3. Trinucleotide repeat expansion
4. Genomic imprinting

Correct answer: 3. Trinucleotide repeat expansion

Explanation: Instablity of triplet repeats can lead to gradual expansion from generation to generation,a phenomenon called anticipation,Genetic anticipation is characterized  by the reduction in the age of disease onset  by successive genarations.